Adequate Total per capita water for Urban domestic purposes?
1. 50-100 Liters
2. 100-150 Liters
3. 150-200 Liters
4. 200-250 Liters

Correct answer: 3. 150-200 Liters

Explanation: Ans. is 'c' i.e., 150-200 litresThe basic physiological requirements for drinking water have been estimated at about 2 litres per head per day.A daily supply of 150-200 litres per capita is considered as an adequate supply to meet the needs for all urban domestic purposes.